Adrenal medulla secretes all EXCEPT:
1. Epinephrine
2. Nor epinephrine
3. Dopamine
4. Cortisol

Correct answer: 4. Cortisol

Explanation: Cortisol REF: Ganong 22ed chapter20 "Cortisol is secreted by adrenal cortex not medulla" "Norepinephrine, epinephrine, and dopamine are secreted by the adrenal medulla"